Which of the following is the short-term memory that keeps information available for very short periods of time?
1. Recent memory
2. Remote memory
3. Working memory
4. Delayed memory

Correct answer: 3. Working memory

Explanation: Working memory is a form of short-term memory that keeps information available, usually for very short periods, while the individual plans action based on it. Working memory areas are connected to the hippocampus and the adjacent parahippocampal portions of the medial temporal cortex. Ref: Barrett K.E., Barman S.M., Boitano S., Brooks H.L. (2012). Chapter 15. Learning, Memory, Language, & Speech. In K.E. Barrett, S.M. Barman, S. Boitano, H.L. Brooks (Eds), Ganong's Review of Medical Physiology, 24e.